Diagnosis criteria of Acute severe malnutrition does not include
1. Visible severe wasting
2. Bipedal Edema
3. Weight for height <25D
4. Mid arm circumference < 115mm

Correct answer: 3. Weight for height <25D

Explanation: WHO Acute malnutrition criteria

Visible severe wasting
Bipedal Edema
Weight for height < 35D
Mid arm circumference < 115mm